A tangential cut by sword or butcher's knife produces
1. Greenstick fracture
2. Ring fracture
3. Gutter fracture
4. Sutural fracture

Correct answer: 3. Gutter fracture

Explanation: Gutter fracture In this, the outer part of the bone us chipped off by a tangential force and a gutter is formed. Gutter fracture is caused by a bullet touching the outer table and is not penetrating the skull This can also be produced by a tangential cut by a sword or butcher's knife. Ref: FORENSIC MEDICINE AND TOXICOLOGY Dr PC IGNATIUS THIRD EDITION PAGE 163